Cherry red spot at macula is seen in all of the following except:
1. Tay-Sach's disease
2. Letterer-Siwe disease
3. Niemann-Pick disease
4. Commotio retinae

Correct answer: 2. Letterer-Siwe disease

Explanation: Ans. Letterer-Siwe disease